Adverse effect of Losartan are all except:
1. Angioedema
2. Cough
3. Hyperkalemia
4. Headache

Correct answer: 2. Cough

Explanation: Cough